The thoracic duct receives tributaries from all the following except
1. Bilateral ascending lumbar trunk
2. Left upper intercostal duct
3. Bilateral descending thoracic trunk
4. Right bronchomediastinal lymphatic trunk

Correct answer: 4. Right bronchomediastinal lymphatic trunk

Explanation: Thorasic duct receives bilateral descending thorasic,ascending lumbar,left upper intercostals/subclavian/jugular/bronchomediastinal trunk Ref: Last's 11e/p217,288